Infants of diabetic mother are likely to have the following cardiac anomaly:
1. Coarctation of aorta
2. Fallot's tetrology
3. Ebstein's anomaly
4. Transposition of portal vein

Correct answer: 1. Coarctation of aorta

Explanation: Coarctation of aorta is seen in infants of diabetic mother. Cardiac anomalies seen in infants with diabetic mother are, 1) VSD, ASD 2) Coarctation of aorta 3) Transposition of great vessels 4) Cardiomegaly Ref: Practical Guide to High Risk Pregnancy and Delivery By Fernando Arias 2nd Edition, Page 289; Textbook of Gynecology By D C Dutta, 6th Edition, Page 287